The MC organism causing congenital pneumonia is:
1. Group B haemolytic Streptococcus
2. E. coli
3. Staphylococcus aureus
4. Salmonella spp

Correct answer: 1. Group B haemolytic Streptococcus

Explanation: Ans. A. Group B haemolytic StreptococcusPneumonia that becomes clinically evident within 24 hours of birth may originate at 3 different times. The 3 categories of congenital pneumonia are as follows:* True congenital pneumonia* Intrapartum pneumonia* Postnatal pneumoniaTrue congenital pneumonia is already established at birth. It may become established long before birth or relatively shortly before birth. Transmission of congenital pneumonia usually occurs via 1 of 3 routes:Hematogenous, Ascending and Aspiration. Group B Streptococcus (GBS) was the most common bacterial isolate. Other isolates include Nontypable Haemophilus influenzaeOther gram-negative bacilli, Listeria monocytogenes, EnterococciAnd Occasionally, Staphylococcus aureus and rarely, Mycoplasma pneumoniae